Hypergastrinemia is seen in all, EXCEPT:
1. Atrophic gastritis
2. Zollinger Ellison syndrome
3. Prolonged acid suppressive medications
4. Fasting

Correct answer: 4. Fasting

Explanation: G cells - specialised endocrine cells secrete gastrin. Food especially protein, peptides and amino acids stimulate gastrin secretion. Fasting and increased gastric acidity inhibit gastrin release. High gastric pH is a strong stimulus for gastrin release. MUST KNOW: Hypergastrinemia is seen in: 1. Atrophic gastritis 2. Prolonged use of acid suppressive medications 3. Zollinger Ellison syndrome Ref: Sleisenger and Fordtrans, Edition-9, Page-7.